Cytolytic activity of membrane attack complex is modulated by ?
1. Factor I
2. Factor B
3. Factor S
4. Factor H

Correct answer: 3. Factor S

Explanation: Ans. is 'c' i.e., Factor S